Examination of the fundus shows Cherry red spot in all of the following conditions, EXCEPT:
1. Gaucher's disease
2. Tay Sach's disease
3. Niemann Pick Disease
4. Central retinal vein occlusion

Correct answer: 4. Central retinal vein occlusion

Explanation: Cherry red spot is an ophthalmoscopic finding caused by the abnormal accumulation of products like gangliosides in the ganglion layer of the retina. The absence of ganglion cells in the area gives rise to a cherry-red spot surrounded by white cells filled with storage material. As the cells start to die, optic atrophy becomes visibly apparent. Cherry red spot is seen in: Berlin's oedema Gaucher's disease Tay sach's disease Neimann pick's disease Central retinal artery occlusion Ref: Ophthalmology By A.K Khurana, 4th Edition, Page 257, 478; Harrison's Principles of Internal Medicine By Robert J. Hopkin, Gregory A. Grabowski, Chapter 355, Page 2452